Hypervitaminosis E leads to:
1. Hypercalcemia
2. Raised intracranial tension
3. Increased bleeding time
4. Psychosis

Correct answer: 3. Increased bleeding time

Explanation: Vitamin E is believed to inhibit protein kinase C-mediated platelet aggregation and nitric oxide production In patients with unexplained bruising or bleeding, it is important to review vitamin E supplementation. Extra Edge: Fish oil is also contraindicated in patients with bleeding tendencies.